Appetite is stimulated by all except
1. Agouti related peptide
2. Melanocyte concentrating hormone
3. Melanocyte stimulating hormone
4. Neuropeptide Y

Correct answer: 3. Melanocyte stimulating hormone

Explanation: Ans. is 'c' i.e. Melanocyte stimulating hormone ar Melanocyte stimulating hormone (a-MSH) depresses appetite by acting centrally on satiety centre.Neurotransmitters & Hormones that influence feeding and satiety centres in the hypothalamusIncrease Feeding {Orexigenic)Decrease Feeding (Anorexigenic)Neuropeptide Y (NPY)Agouti-related protein (AGRP) Melanin-concentrating hormone (MCH) Orexins A and B Endorphins Galanin (GAL)Amino acids (glutamate and y-aminobutyric acid)CortisolGhrelinGrowth hormone releasing hormone (GHRH)a-Melanocyte-stimulating hormone (a-MSH)LeptinSerotoninNorepinephrineCorticotropin-releasing hormone (CRH)InsulinCholecystokinin (CCK)*Glucagon-like peptide (GLP)Cocaine- and amphetamine-regulated transcript (CART) Peptide YY (PYY)*Bombesin*CCK & PYY are mentioned as orexigenic in Harrison 17/e, p 464 but in Ganong & Guyton these are mentioned under anorexigenic peptides.